The age of gestation when ovaries and testis are first distinguishable :
1. 4weeks
2. 8 weeks
3. 12 weeks
4. 16 weeks

Correct answer: 2. 8 weeks

Explanation: 8 weeks